Which of the following statements is true about nitrates ?
1. Acts by raising cGMP which causes dephosphorylation of MLCK
2. Metabolized by glutathione reductase
3. Used in achalasia cardia
4. All of the above

Correct answer: 4. All of the above